Paraxial mesoderm develops into:
1. Somites
2. Mesonephric duct
3. Notochord
4. All of the above

Correct answer: 1. Somites

Explanation: A. i.e. Somites